To achieve Net Reproduction Rate of 1, the couple protection rate should be
1. 50%
2. 55%
3. 60%
4. 65%

Correct answer: 3. 60%

Explanation: Ans. c (60 %) (Ref. Park PSM 22nd / pg. 454)# Net reproduction rate (NRR)=1 can be achieved only if the CPR exceeds 60%.ELIGIBLE COUPLES (EC)# Refers to a currently married couple wherein the wife is in the reproductive age (15^45 years).# At least 150-180 such couples per 1000 population in India.# 20% of EC are found in the age group 15-24 yrs.# There are about 169 million couples in country (31/3/99).# Average 2.5 million EC are joining the reproductive group every year.COUPLE PROTECTION RATE (CPR)# It is an indicator of the prevalence of contraceptive practice in the community.# It is defined as the percent of eligible couples effectively protected against childbirth by one or the other approved methods of family planning.# Sterilization accounts for over 60% CPR.# During 2002-2003, total number of family planning acceptors by all the methods below was there but about 54% eligible couples are still unprotected:1. Sterilization -4.73 million2. IUD insertion -6.11 million3. Nirodh/Condom users -16.54 million4. Oral pill users -8.24 million